In a child with hypertrophied adenoids, the voice abnormality that is seen is
1. Hot potato voice
2. Staccato voice
3. Rhinolalia aperta
4. Rhinolalia clausa

Correct answer: 4. Rhinolalia clausa

Explanation: HYPONASALITY (RHINOLALIA CLAUSA) It is lack of nasal resonance for words which are resonated in the nasal cavity, e.g. m, n, ng. It is due to blockage of the nose or nasopharynx. Ref:- Dhingra; pg num:-315